In glycolysis, the first committed step is catalysed by-
1. a) 2, 3 DGP
2. b) Glucokinase
3. c) Hexokinase
4. d) Phosphofructokinase

Correct answer: 4. d) Phosphofructokinase

Explanation: Phosphofructokinase catalyzes the commited step of glycolysis, meaning that once fructose l, 6 - bisphosphate is formed it must go for the glycolytic pathway only